All are disorders due to peroxisomal abnormalities except
1. Zellweger syndrome
2. Refsum's disease
3. Hyperoxaluria type I
4. Jamaican vomiting sickness

Correct answer: 4. Jamaican vomiting sickness

Explanation: Jamaican fruit Ackee contains a toxin called hypoglycin. It inhibits fatty acyL CoA dehydrogenase, leading to impaired β oxidation.